A 5-year-old unimmunized child presented with sore throat & swelling of neck. On examination of throat, the following was seen. What is the most probable causative organism?
1. Streptococcus pyogenes
2. Mycobacterium tuberculosis
3. Staphylococcus aureus
4. Corynebacterium diphtheriae

Correct answer: 4. Corynebacterium diphtheriae

Explanation: d. Corynebacterium diphtheriaeA membrane is seen over the tonsil in this child with swelling of neck. Demonstration of bacilli on Albert staining, in the given scenario is suggestive of Diphtheria